Contrasts used in USG –
1. Urograffin
2. Ultragraffin
3. Sonavist
4. Conray

Correct answer: 3. Sonavist